The Uveitis associated with vitiligo & auditory defects occurs in
1. Bechet's syndrome
2. Steven's Johnson syndrome
3. Vogt-Koyanagi syndrome
4. Ankylosing-spondylitis

Correct answer: 3. Vogt-Koyanagi syndrome

Explanation: Ans. is 'c' i.e Vogt Koyanagi Harada Syndrome * Vogt Koyanagi Harada Syndrome is a multisystem disorder characterized by Cutaneous lesionsOtological:VitiligoDeafnessAlopeciaTinnitusPoliosisVertigo Neurological lesionsOcular:Encephalopathy, MeningismusUveitisRetinal detachmentAssociated with HLA DR4 & DW15Bechet's Syndrome is characterized bv *Recurrent uveitisApthous ulcerationsGenital ulcerationsErythema multiformeAssociated with HLA B5 *Steven's Johnson Syndrome - is a cutaneous drug reaction.Clinical features include-Initial feature is always sore throat, malaise feverLesions involve 2 mucous memb. sites.Small blisters on dusky purpuric maculesTotal percent of body surface area blistering and eventual detachment is less than 10% (Note >=30% is seen in TEN, Toxic Epidermal Necrosis, the most serious cutaneous drug reaction)